What is the normal pH of the blood
1. 7.30–7.40
2. 7.35–7.45
3. 7.20–7.30
4. 7.45–7.55

Correct answer: 2. 7.35–7.45

Explanation: Option B: The normal blood pH is tightly regulated between 7.35 and 7.45.